A young pregnant woman presents with fulminant hepatic failure. The most likely aetiological agent is -
1. Hepatitis B virus
2. Hepatitis C virus
3. Hepatitis E virus
4. Hepatitis A virus

Correct answer: 3. Hepatitis E virus

Explanation: Ans. is 'c' i.e., Hepatitis - E virus Characteristic feature of different Hepatitis viruses . HEV - Causes fulminant hepatitis in pregnant woman - Causes cholestasis . HAV - Cause spiky fever - Can cause cholestasis (less common than HEV) . HBV - Only hepatitis virus which is DNA virus. . HCV - Paucity of inflammation - Causes fatty change in liver. - Episodic pattern of aminotransferases activity.